The ratio between ethyl alcohol in blood and Vitreous humor is
1. 01:01.1
2. 01:01.2
3. 01:01.3
4. 01:01.8

Correct answer: 2. 01:01.2

Explanation: Ratio of blood alcohol with different body fluids Whole blood :1.00 Plasma or serum: 1.12 to 1.2 Brain: 0.85 Spinal fluid: 1.1 Vitreous: 1.2 Urine: 1.3 Liver: 0.85 Alveolar air: 0.0021